Which of the following are alkylating agents ? a) Cyclophosphamide b) Ifosfamide c) Paclitaxel d) Methotrexate e) Vincristine
1. ad
2. c
3. ab
4. ac

Correct answer: 3. ab